Spirometry cannot measure ?
1. RV
2. TV
3. IRV
4. ERV

Correct answer: 1. RV

Explanation: Ans. is 'a' i.e., RV Spirometry can measure :- Tidal volume (TV), inspiratory reserve volume (IRV), expiratory reserve volume (ERV), vital capacity (VC), forced vital capacity (FVC), FEVI. Spirometry cannot measure :- Residual volume (RV), functional residual capacity (FRC), total lung capacity (TLC).